Hilar dance on fluoroscopy is seen in:
1. ASD
2. TOF
3. VSD
4. TGV

Correct answer: 1. ASD

Explanation: Ans. ASD